Which of the following conditions is not diagnosed by Chorionic Villous Biopsy?
1. Neural tube defects
2. Down's syndrome
3. Phenylketonuria
4. Sickle cell anemia

Correct answer: 1. Neural tube defects

Explanation: Chorionic villi are an excellent source of DNA thus apt for genetic techniques. It aids in the prenatal diagnosis of genetic disorders. Chorionic villous sampling is used to detect cytogenetic, biochemical (genetic) or molecular disorders. Neural tube defects are not associated with any of the above and hence not detected by chronic villous biopsy. Ref: Dutta textbook of Obstetrics 6th edition; Page 108